Which of the following does not form ring of Waldeyer
1. Adenoids
2. Eustachian
3. Palatine
4. None

Correct answer: 4. None

Explanation: Ring of Waldeyer consists of following tonsils

 Nasopharyngeal(Adenoids)
 Eustachian
 Palatine
 Lingual